Serocystic disease of Brodie is also known as:
1. Cystosarcoma phyllodes
2. Fibroadenoma
3. Galactocele
4. Traumatic fat necrosis

Correct answer: 1. Cystosarcoma phyllodes

Explanation: (Cystosarcoma phyllodes): Ref: 834-LB (836-B & L 25th)Phvlioid tumours: benign tumour, previously sometimes known as serocystic disease of Brodie or cystosarcoma phylloides* Usually occurs over the age of 40* May recur locally but, despite the name of cystosarcoma phyllodes they one rarely cystic and only very rarely develop features of a sarcomatous tumoursTreatment* Benign = Enucleation in very young women or wide local excision* Massive tumours recurrent and those of malignant type - Mastectomy